Isolated 3rd nerve palsy is Seen in-
1. Frontal lobe tumour
2. Webers syndrome
3. Diabetes
4. Lateral medullary syndrome

Correct answer: 3. Diabetes

Explanation: *Diabetes ,hypertension and vascular disease are major risk factors *Isolated nuclear oculomotor palsy is rare. Third nerve palsy typically manifests as diplopia and ptosis.The diabetic 3rd nerve palsy may affect isolated superior or inferior division of the oculomotor nerve, but diplopia usually exists Ref Harrison20th edition pg 2456